Tinea "incognito" is due to inappropriate use of systemic and topical:
1. Antibiotics
2. Antifungals
3. Steroids
4. Antivirals

Correct answer: 3. Steroids

Explanation: Tinea incognito is extensive ringworm which is caused by inappropriate use of topical corticosteroids.